Contrast used for MRI:
1. Iodine
2. Gadolinium
3. Metrazamide
4. Omnipaque

Correct answer: 2. Gadolinium

Explanation: Ans. B i.e. Gadolinium MRI MC contrast agent used in MRI: Gadolinium DTPA C/I to MRI: - Cardiac pacemakers, - Aneurysmal clips etc. Faradays cage: MRI rooms are shielded by continuous sheets of copper or aluminium from interference by external electromagnetic radiation.